Decreased vascularity of fibroid is seen with:a) GnRH agonistb) Danazolc) Mifepristoned) Clomiphene citrate
1. ab
2. bc
3. acd
4. abc

Correct answer: 4. abc

Explanation: Mechanism of action: